Kaposi sarcoma is seen in ?
1. Leukemia
2. Lymphoma
3. AIDS
4. Cytomegalovirus infections

Correct answer: 3. AIDS

Explanation: Ans. is 'c' i.e., AIDS